TRUE about infant airway compared to adult airway are all, EXCEPT:
1. The relatively large size of the tongue
2. Epiglottis is omega shaped
3. Larynx is funnel shaped
4. None of the above

Correct answer: 4. None of the above

Explanation: Differences in airway anatomy make the potential for technical airway difficulties greater in infants than in teenagers or adults. The airway of infants differs in five ways: (1) the relatively large size of the infant's tongue in relation to the oropharynx increases the likelihood of airway obstruction and technical difficulties during laryngoscopy; (2) the larynx is located higher (more cephalic) in the neck, thus making straight blades more useful than curved blades; (3) the epiglottis is shaped differently, being short, stubby, omega shaped, and angled over the laryngeal inlet; control with the laryngoscope blade is therefore more difficult; (4) the vocal cords are angled, so a "blindly" passed endotracheal tube may easily lodge in the anterior commissure rather than slide into the trachea; and (5) the infant larynx is funnel shaped. Ref: Miller's anesthesia-7th ed, Chapter 82.